Muscle in 2nd compartment of wrist?
1. Extensor pollicis brevis
2. Extensor carpi radialis brevis and longus
3. Abductor pollicis longus
4. Extensor pollicis longus

Correct answer: 2. Extensor carpi radialis brevis and longus

Explanation: Extensor retinaculum has extensor tendons which are divided into 6 compartments which are as follows: 1st compartment = Abductor pollicis longus& extensor pollicis brevis (both are affected in Dequervain'sTenosynovitis) 2nd compartment = Extensor carpi radialis longus, extensor carpi radialis brevis (affected in tennis elbow) 3rd compartment = Extensor pollicis longus (affected in colle's fracture) 4th compartment = Extensor digitorum, extensor indicis 5th compartment = Extensor digit minimi 6th compartment = Extensor carpi Ulnaris